ATP dependent transport mechanism
1. Facilitated diffusion
2. Osmosis
3. Active transport
4. All of the above

Correct answer: 3. Active transport